Post-streptococcal glomerulonephritis is associated with -
1. Follows skin and throat infection
2. Antibiotic treatment induces remission
3. Is a cause of chronic renal failure in majority of children
4. All

Correct answer: 1. Follows skin and throat infection

Explanation: Ans. is `a' i.e., Follows skin and throat infection Post streptococcal glomerulonephritis o PSGN appears 1 to 4 weeks after a streptococcal infection of pharynx or skin (impetigo). It is caused by certain nephritogenic serotypes of group A f3-hemolytic streptococcus (not by all serotypes). o The lesions are caused by immune complex deposition and activation of complement --> complement level decreases. It occurs most frequently in children 6 to 10 years of age. o Clinically child presents with acute nephritic syndrome ? i) Hematuria iii) Azotemia v) Hypertension ii) Oliguric acute renal failure iv) Proteinuria vi) Edema o PSGN causes acute renal failure, but not chronic renal failure -> more than 95% of affected children eventually recover totally with conservative therapy. Treatment Management is directed at treating the acute effects of renal insufficiency and hypertension. o Although a 10 day course of systemic antibiotic therapy with penicillin is recommended to limit the spread of nephritogeric organisms, antibiotic therapy does not affect the natural history of glomerulonephritis.